Newer MAO inhibitors are useful in the treatment of-
1. Mania
2. Schizophrenia
3. Hypertension
4. Depression

Correct answer: 4. Depression

Explanation: Ans. is d i.e., Depression orT Reversible inhibitors of MAO-A (RIMAs) eg., Moclobemide and clorgyline are used for depression